The active search for unrecognized disease or defect in apparently health people using rapidly applied tests or procedures is -
1. Case finding
2. Monitoring
3. Screening
4. Active surveillance

Correct answer: 3. Screening

Explanation: Screening is the search for unrecognized disease by means of rapidly applied tests or examinations in apprently healthy individuals.